Serum alkaline phosphate is normal in:
1. Osteosarcoma
2. Osteomalacia
3. Multiple myeloma
4. Malnutrition

Correct answer: 3. Multiple myeloma

Explanation: Ans. C: Multiple Myeloma I. Increased alkaline phosphatase levels: Increased calcium deposition in bone Hyperparathryroidism Pagets disease Osteomalacia / rickets: in both cases there is failure of mineralization; Caffey's syndrome (infantile cortical hyperostosis) Osteoblastic bone tumors (metastatic or osteogenic sarcoma) alkaline phosphatase level is high in about 1/2 of patients with osteosarcoma & in smaller fraction of those with another type of primary malignant bone tumor; Pregnancy Childhood Liver disease such as biliary obstruction Total Parenteral Nutrition (TPN) II. Decreased alkaline phosphatase levels: Malnutrition Excess Vit D ingestion; Hypophosphatasia